Commonest cause of skeletal metastasis is
1. Kidney
2. Prostate
3. Breast
4. Thyroid

Correct answer: 3. Breast

Explanation: C. i.e. (Breast) (1202 - CSDT 12th) (450 - S. Das 5th)METASTATIC BONE TUMORS80% of these metastatic lesions are from primary carcinomas - particularly of the Breast, Prostate, lung kidney, thyroid' pancreas or stomach in that order of frequency* Breast or prostate metastasis either partly or solely osteoblastic** OSSOPHILE TUMOURS shows predilection for metastasis in the bone eg Breast, Prostate, Kidney, Bronchus, and Thyroid OSSOPHOBE TUMOURS Do not show predilection for metastasis in the bone eg GIT, urinary bladder, genitalia etc* Most common primary source of solitary skeletal metastasis at the time of first diagnosis is carcinoma of the kidney (1202 - CSDT 12th)